Vestibule of the vagina develops from?
1. Genital ridge
2. Wolffian duct
3. Urogenital sinus
4. Mullerian duct

Correct answer: 3. Urogenital sinus

Explanation: ANSWER: (C) Urogenital sinusREF: Current OB/GYN Chapter 4. Embryology of the Urogenital System & Congenital Anomalies of the Female Genital TractRepeat from June 2009See APPENDIX-5 below for "ADULT DERIVATIVES AND VESTIGIAL REMAINS OF EMBRYONIC UROGENITAL STRUCTURES""The urogenital sinus persists as the vestibule of the vagina, and the two genital folds form the labia minora" APPENDIX - 5Adult Derivatives and Vestigial Remains of Embryonic Urogenital StructuresEmbryonic StructureMaleFemaleGonadal RidgeCortexMedullaTestisSeminiferous tubules Rete testisOvaryOvarian folliclesMedullaRete ovariiGubernaculumGubernaculum testisOvarian ligamentRound ligament of uterusMesonephric tubulesDuctus efferentesParadidymisEpoophoronParoophoronMesonephric ductAppendix of epididymisDuctus epididymidisDuctus deferensUreter, pelvis, calices, and collecting tubulesEjaculatory duct and seminal vesicleAppendix vesiculosa Duct of epoophoron Duct of GartnerUreter, pelvis, calices, and collecting tubulesParamesonephric duct (Mullerian duct)Appendix of testisHydatid (of Morgagni)Uterine tubeUterusUpper VaginaUrogenital sinusUrinary bladderUrethra (except glandular portion)Prostatic utricleProstate glandBulboureth rod glandsUrinary bladder UrethraLower Vagina (from sinovaginal bulb)Urethral and paraurethral glandsGreater vestibular glandsVestibule of vaginaMullerian tubercleSeminal colliculusHymenGenital tuberclePenisGians penisCorpora cavernosa penisCorpus spongiosumClitorisGians clitoridisCorpora cavernosa clitoridisBulb of the vestibuleUrogenital foldsVentral aspect of penisLabia minoraLabioscrotal swellingsScrotumLabia majora